Borelia vincenti is a
1. Mycoplasma
2. Mycobacteria
3. Spirochaete
4. Chlamydia

Correct answer: 3. Spirochaete